A patient presents with unconjugated hyperbilirubinemia and elevated urobilinogen levels in urine. The most likely diagnosis is:
1. Hemolytic Jaundice
2. Crigler Najjar syndrome
3. Gilbert's syndrome
4. Dubin Johnson syndrome

Correct answer: 1. Hemolytic Jaundice

Explanation: Answer is A (Hemolytic Jaundice) Unconjugated Hyperbilirubinentia with elevated urobilinogen levels of urine is characteristic of Hemolytic anemia Condition / syndrome Hyperbilirubinemia Urinary Urobilinogen (N=0-4 mg/24 hrs) Hemolytic Anemia Unconjugated (Indirect) Increased Gilbert's syndrome Unconjugated (Indirect) Normal or Decreased Crigler Najjar Unconjugted (Indirect) Normal or Decreased Dubin Johnson's Conjugated (Direct) Absent Crigler Najjar syndrome and Gilbert's syndrome also present with unconjugated hyperbilirubinemia, however urobilinogen levels are not increased in these conditions. Gilberts syndrome and Crigler Najjar syndrome are enymatic disorders charachterized by defective conjugation. These disorders may present with a picture similar to hemolytic jaundice with unconjugated hyer bilirubinamia, with the following exceptions. a. Haemoglobin is not decreased b. Urobilinogen is not increased (Normal or Decreased) Dubin Johnson Syndrome presents with conjugated hyperbilirubinemia and absent urobilinogen in urine